Central venous pressure is ?
1. Pressure in IVC
2. Pressure in SVC
3. Pressure in right atrium
4. Pressure in right ventricle

Correct answer: 3. Pressure in right atrium

Explanation: Ans. is 'c' i.e., Pressure in right atrium Central venous pressure (CVP) refers to pressure in right atrium because all the systemic veins open into right atrium. Normal right atrial pressure (CVP) is about 2 mm Hg.